A 62 year old male patient presented with signs and symptoms of stroke. MR angiography revealed thrombus in the posterior cerebral artery. All of the following structures may be affected by the lesion except
1. Choroid plexus of III ventricle
2. Midbrain
3. Pons
4. Lentiform nucleus

Correct answer: 3. Pons

Explanation: The poserior cerebral artery (PCA) does not supply the pons The branches of the posterior cerebral artery are : Cortical branches Occipital lobe- Visual cortex Temporal lobe- medial and inferolateral surfaces Central branches Thalamus Subthalamus Lentiform nucleus Midbrain Pineal gland Superior and inferior colliculi Medial and lateral geniculate bodies Choroidal branches : Choroid plexus of Lateral ventricle Third ventricle Ref: Snell's Clinical neuroanatomy 8th edition Pgno: 467